A 44-year-old man with a stab wound was brought to the emergency department and a physician found that the patient was suffering from a laceration of his right phrenic nerve. Which of the following conditions has likely occurred?
1. Injury to only general somatic efferent fibers
2. Difficulty in expiration
3. Loss of sensation in the pericardium and mediastinal pleura
4. Normal function of the diaphragm

Correct answer: 3. Loss of sensation in the pericardium and mediastinal pleura

Explanation: Loss of sensation in the pericardium and mediastinal pleura because Phrenic nerve supply (sensory) central part of diaphragm, pain from pericardium, mediastinal and diaphragmatic pleurae and peritoneum in the undersurface of diaphragm. Difficulty in inspiration on injury to phrenic nerve.